Dyskeratosis means
1. Abnormal,premature keratinization within cells  below  the stratum granulosum
2. Discontinuity  of the  skin showing incomplete loss of epidermis
3. Thickening   of stratum corneum, often associated with a  qualitative  abnormality of keratin
4. Keratinization with retained nuclei in the stratum corneum

Correct answer: 1. Abnormal,premature keratinization within cells  below  the stratum granulosum

Explanation: Abnormal,premature keratinization within cells  below the stratum granulosum-Dyskeratosis.
Discontinuity of the  skin showing incomplete loss of epidermis-Erosion.
Thickening of stratum corneum, often associated with a qualitative abnormality of keratin-Hyperkeratosis.
Keratinization with retained nuclei in the stratum corneum.-Parakeratosis.